A drug X is useful in the treatment of rheumatoid arthritis. It is available only in parenteral formulation and its mechanism of action is antagonism of tumor necrosis factor. Which of the following can be X?
1. Cyclosporine
2. Penicillamine
3. Phenylbutazone
4. Etanercept

Correct answer: 4. Etanercept

Explanation: Infliximab and Etanercept are TNF-aantagonists useful for the treatment of rheumatoid arthritis. These are administered by parenteral route. TNF-a antagonists can cause reactivation of latent tuberculosis. Phenylbutazone -can precipitate the acute attack of asthma